Facial artery does not supply the:
1. Tonsils
2. Submandibular gland
3. External auditory meatus
4. Lower part of the nasal septum

Correct answer: 3. External auditory meatus